Most common presentation of Renal Tuberculosis is:
1. Renal colic
2. Sterile Pyuria
3. Intractable urgency
4. Painful micturition

Correct answer: 2. Sterile Pyuria

Explanation: Answer is B (Sterile Pyuria): The most common clinical presentation of Urological Tuberculosis is Sterile Pyuria. 'The most common clinical presentation of urological tuberculosis is sterile pyuria and painless hematuria - Textbook of Pulmonary and Critical Care Medicine `Renal Tuberculosis is probably underdiagnosed because it is frequently asymptomatic Many cases are diagnosed as a result of routine detection of sterile pyuria. The development of symptoms reflects a more advanced stage of disease' - Oxford Textbook of Medicine Classical Renal Tuberculosis Early Clinical Features: Symptoms of cystitis; Microscopic or macroscopic hematuria; Pyuria with negative bacterial culture (`sterile pyuria'); Constitutional symptoms. Late Clinical Features: Nephrolithiasis and ureteral colic; Intractable frequency and urgency; Refractory hypertension; Renal insufficiency due to obstructive nephropathy.